A patient came with chief complaints of curtain falling in front of eye after blunt trauma. O/e there was inferior giant retinal tear. What should be the immediate line of treatment
1. Scleral Buckling
2. Pan Retinal Photocoagulation
3. Pars plana vitrectomy with endophotocoagulation
4. Pneumatoretinopexy

Correct answer: 3. Pars plana vitrectomy with endophotocoagulation

Explanation: Remember giant retinal tear is an indication for doing pars plana vitrectomy with endophotocoagulation and putting silicon oil in the vitreous cavity for prolonged tamponade Vitrectomy - The vitreous is removed and the Sub Retinal Fluid is drained. Fibrotic bands are removed and the break is endo-photocoagulated with tamponade provide in form of gas or oil Indications Posterior RD Failed scleral buckling & pneumatic retinopexy Chronic RD Giant Retinal Tear RD with extensive Proliferative Vitreous retinopathy /Vitreo Macular Traction Pneumatic Retinopexy (Indications) Recent onset RRD Superior break or Single Quadrant break Buckling Scleral silicone or polypropylene band is put for tamponade. Subretinal fluid is drained by 26 G needle. Indication: Fresh bullous RRD, anterior break Can cause astigmatism and rise of intra ocular pressure